Most common Thyroid CA post radiation exposure
1. Papillary CA
2. Medullary CA
3. Follicular CA
4. None

Correct answer: 1. Papillary CA

Explanation: Papillary Carcinomas are the most common form of thyroid cancer which can occur at any time of life but more oftenly between the ages of 25 and 50 and they are associated with previous exposure to ionizing radiation. Ref: Robbins and cotrans 9e Pg 1095